Gas in great vessels of foetus indicate :
1. Fetal distress
2. Post mature fetus
3. Fetal death
4. Premature fetus

Correct answer: 3. Fetal death

Explanation: C i.e. Fetal death